Which diuretic can be used in treatment of hypercalcemia?
1. Furosemide
2. Spironolactone
3. Hydrochlorothiazide
4. Mannitol

Correct answer: 1. Furosemide

Explanation: Loop diuretics: Thiazide diuretics: Act on Na+K+2Cl- symporter acts on ascending limb of loop of Henle. Includes- furosemide, torsemide, bumetanide High ceiling diuretics Loop looses calcium - therefore used in hypercalcemia Inhibits Na-Cl- symporter acts on distal tubule Includes- chlorthiazide,indapamide Decreases Na+, K+ , Mg2+, H+ Increases glucose, uric acid, lipid Increase in calcium - used in osteoporosis